Which of the following is associated with adult polycystic kidney disease?
1. Berry aneurysms in Circle of Willis
2. Saccular aneurysms of aorta
3. Fusiform aneurysms of aorta
4. Leutic aneurysms

Correct answer: 1. Berry aneurysms in Circle of Willis

Explanation: Ans. is 'a' i.e. Berry Aneurysm in Circle of Willis Extrarenal anomalies seen in patients with adult polycystic kidney disease.||||CystsBerry aneurysmColonic diverticula*Mitral valve(a) Liver (M.C. Site)*(Present in 5-10%)(M C. extrarenal deformity )Prolapse*(b) Spleen* perforation is common (c) Pancreas* (d) Ovaries